Which one of the following in the characteristic feature of juvenile myoclonic epilepsy
1. Myoclonic seizures frequently occur in morning
2. Complete remission is common
3. Response to anticonvulsants is poor
4. Associated absence seizures are present in majority of patients

Correct answer: 1. Myoclonic seizures frequently occur in morning

Explanation: Infantile spasms occur in clusters usually on waking - It's characterized by a combination of salaam spells ( sudden dropping of the head and flexion of arms ) - Prognosis for complete mental development is poor -vigabatrin is the drug of choice . Juvenile myoclonic epilepsy (JME) is the most common generalized epilepsy syndrome. It is also called Juvenile Myoclonic Epilepsy of Janz. It typically begins in adolescence. Teens with JME do not have other developmental problems. Myoclonic seizures (brief shock-like muscle jerks) are the most common type of seizure. They happen shortly after waking. Generalized tonic-clonic seizures occur in nearly all people with JME. The cause is predominantly genetic. An EEG is the most important way to diagnose JME. Ref : Ghai , 8th edition ; pg no : 559